A moving vehicle hits a pedestrian on his lateral aspect of the knee and causes a fracture. The fracture line is passing through the intercondylar eminence. Which of the following structures will most likely be injured
1. Medial collateral ligament
2. Lateral collateral ligament
3. Anterior cruciate ligament
4. Medial meniscus

Correct answer: 3. Anterior cruciate ligament

Explanation: Ans. c. Anterior cruciate ligament